The cranial nerve with the largest intra-cranial course is:
1. Abducens- nerve
2. Trochlear nerve
3. Optic nerve
4. Trigeminal nerve

Correct answer: 2. Trochlear nerve

Explanation: B i.e. Trochlear nerve